Hyaline cartilage is located at all sites except:
1. Costal cartilage
2. Menisci of Knee joint
3. Articular cartilage
4. Epiphyseal plate

Correct answer: 2. Menisci of Knee joint

Explanation: Ans. B. Menisci of Knee jointHyaline cartilage is the glass-like (hyaline) but translucent cartilage found on many joint surfaces (Articular cartilage). Hyaline cartilage is pearl-grey in color, with a firm consistency and has a considerable amount of collagen. It contains no nerves or blood vessels, and its structure is relatively simple. It is also most commonly found in the nose, larynx, trachea, Costal cartilage, Epiphyseal plate.